Greater petrosal nerve is formed from ?
1. Geniculate ganglion
2. Plexus around ICA
3. Plexus around middle meningeal artery
4. None of the above

Correct answer: 1. Geniculate ganglion

Explanation: Ans. is 'a' i.e., Geniculate ganglion Petrosal nervesGreater petorsal nerveFirst branch of facial nerveArises from geniculate ganglionIn foramen lacerum it joins deep petorsal nerve and forms the nerve to pterygoid canalSupplies lacrimal glands, nose, mucosal glands of pharynx, palate.Lesser petorsal nerveBranch of 9th cranial nerve through tympanic plexus (passes otic ganglion)It suplies parotid gland.Deep petorsal nerveIt is a branch of sympathetic plexus around internal carotid artery.It contains cervical sympathetic fibers.External petorsal nerveIt is an inconsistant branch of sympathetic plexus around middle meningeal artery.